40 year old male with sputum AFB +ve,complains of Hoarseness of voice and painful swallowing on examination vocal cord shows mamillated adenoids and hyperaemia the most likely diagnosis is
1. Rinke's edema
2. Epiglottitis
3. TB larynx
4. Cancer of larynx

Correct answer: 3. TB larynx